Which of the following takes place in low insulin/glucagon ratio?
1. Cholesterol synthesis
2. Glycogen synthesis
3. Ketogenesis
4. Fatty acid synthesis

Correct answer: 3. Ketogenesis

Explanation: Ans. C. KetogenesisHere Glucagon level is high, so it is regarding fasting state. Ketogenesis is in fasting state. Rest all in fed state.